Which of the following agent is a rho kinase inhibitor?
1. Fasudil
2. Ranolazine
3. Amiloride
4. Nicorandi

Correct answer: 1. Fasudil

Explanation: Ans. (A) Fasudil(Ref: Katzung 12th/e p206)*Rho kinase (ROCK) is a major downstream effector of the small GTPase RhoA. ROCK plays central roles in the organization of the actin cytoskeleton and is involved in a wide range of fundamental cellular functions such as contraction, adhesion, migration, proliferation and gene expression.*Fasudil is an experimental drug that acts by inhibiting the rho kinase and is found to be effective in animal models for treatment of-Hypertension-Pulmonary Hypertension-Coronary artery disease-Diabetic cardiomyopathy-Vasospastic angina-Ischemic stroke-Heart failure-Erectile dysfunction-Cardiac remodeling